Transmigration of WBC across the endothelium is called
1. Margination
2. Rolling
3. Pavementing
4. Diapedesis

Correct answer: 4. Diapedesis

Explanation: Ans. (d) Diapedesis(Ref: Robbins 9th/pg 76-77)Migration of the leukocytes through the endothelium, is called transmigration or diapedesis.It is mediated by PECAM-1